All of the following are true for post lumbar puncture headache except :
1. Presents 12 hours after procedure
2. Pain is relieved in standing position
3. Pain is worsened by headshaking
4. Pain is occipitofrontal in location

Correct answer: 2. Pain is relieved in standing position